Which of the following is electromagnetic radiation
1. X-rays
2. Alpha rays
3. Beta rays
4. None of the above

Correct answer: 1. X-rays